Shock causes:
1. Stagnant hypoxia
2. Anemic hypoxia
3. Hypoxic hypoxia
4. Histotoxic hypoxia

Correct answer: 1. Stagnant hypoxia

Explanation: Ans: A (Stagnant hypoxia)Ref: Pat GK, Hypoxia and Oxygen Therapy, In: Textbook of Medical Physiology, 2nd ed, Abuja Publishing House 2011: 94: 754-55Explanation:Refer the explanation of previous question